Pain referred to the right side of the neck extending laterally from the right clavicle to the tip of the right shoulder is most likely to involve which of the following?
1. Cervical cardiac accelerator nerves
2. Posterior vagal trunk
3. Right intercostals nerves
4. Right phrenic nerve

Correct answer: 4. Right phrenic nerve

Explanation: Right phrenic nerve The phrenic nerve,which arises from cervicalnerves C3 through C5, mediates sensation from diaphragmatic pleura and peritoneun,, as well as from the pericardium;in addition, it carries motor fibers to the diaphragm. * Therefore, pain from the diaphragmatic pleura or peritoneum, as well as from the parietal Dencardium,may be referred to dermatomes between C3 and C5, inclusive. * Those dermatomes correspond to the clavicular region and the anterior and lateral neck, as well asto the anterior, lateral, and posterior aspects of the shoulder. * Cervical cardiac accelerator nerves would be sympathetic,generally from T1-5